Hypersplenism is characterized by all EXCEPT:
1. Leukamoid reaction
2. Thrombocytopenia
3. Splenomegaly
4. Responds to splenectomy

Correct answer: 1. Leukamoid reaction

Explanation: (Leukamoid reaction): Ref: 704-R, 466-HM (476- Basic pathology 8th)HYPERSPLENISM - characterized by triad of1. Splenomegaly2. Anemia, leukopenia, thrombocytopenia or any combination of these, in association with hyperplasia of marrow precursors of the deficient cell type3. Correction of the blood cytopenia (s) by splenectomy* The term hypersplenism is usedfor conditions which causes excessive removal of erythrocytes, granulocytes or platelets from the circulation* Leukamoid reaction - defined as a reactive leukocytosis in the peripheral blood resembling that of leukaemia (413-HM)